In Bouveret syndrome, gall stone is impacted in:
1. Pylorus
2. Jejunum
3. Terminal ileum
4. Ileocaecal valve

Correct answer: 1. Pylorus

Explanation: Bouveret syndrome: Impaction of a gallstone in the pylorus or proximal duodenum Resulting in gastric outlet obstruction Usually seen in elderly women Clinical presentation is usually nausea, vomiting, and epigastric pain due to gastric outlet obstruction